Thimble bladder is seen in:
1. TB
2. BPH
3. Malignancy
4. Schistosomiasis

Correct answer: 1. TB

Explanation: Ans. (a) TBRef: Campbell Urology 11th Edition, Page 423* Severely contracted thimble bladder occurs in tuberculosis; typically has a capacity of less than 20mL.